Dose of anti D in ectopic pregnancy -
1. 50 mg
2. 100 mg
3. 150 mg
4. 300 mg

Correct answer: 1. 50 mg

Explanation: Ans. is 'a' i.e., 50 mg o In Rh - negative women not yet sensitized to Rh antigen, anti - D gamma globulin - 50 microgram (if gestation < 12 weeks) or 300 microgram (if> 12 weeks) i.m. is administered soon following operation to prevent isoimmunization.Anti - Do It is an IgG antibody that is given by i.m. route.o It binds to fetal RBCs so that they cannot stimulate the maternal immune system.o It should be given at 28 weeks to all unsensitized Rh - negative mother and postpartum within 72 hours if the baby's blood group is Rh positive.o It should also be given after abortion, MTP, and ectopic pregnancyo Indications and Recommended Dose of Anti - D:IndicationsRecommended Dose (pg)First trimester abortion/MTP50First trimester ectopic pregnancy50Second trimester abortion/MTP300Second trimester amniocentesis300Prophylaxis at 28 weeks gestation300After delivery300